A boy age 6 years, weight 13 kg. PEM grading
1. Grade II
2. Grade I
3. Grade III
4. Grade IV

Correct answer: 1. Grade II